Buccolingual positioning of mandibular Canal can be assessed by:
1. Horizontal 0 and -20 degree.
2. Horizontal 0 and -15 degree.
3. Vertical 0 and -20 degree.
4. Vertical 0 and -15 degree.

Correct answer: 3. Vertical 0 and -20 degree.

Explanation: “Periapical radiographs taken from two vertical angulations, 0° (parallel technique) and – (Minus) 20°, determine the buccolingual position of the canal”.
“Periapical radiographs taken from two Horizontal angulations, 0° (parallel technique) and – (Minus) 20°, may differentiate between buccal and lingual roots”.